What is proband in pedigree?
1. Male child of disease
2. Female child of diseased
3. Diseased individual
4. Pregnancy

Correct answer: 3. Diseased individual

Explanation: Ans. is 'c' i.e., Diseased individualPedigree analysis is the analysis of human gene transmission. Pedigree chart is a diagrammatic method of illustrating the inheritance of genes within a family.The starting point is often the identification of an affected individual, called the `propositus' or `proband', i.e. propositus or proband is the individual which is studied in a pedigree, such as the individual with a certain disease or other inherited interest.